The activity of pyruvate carboxylase is dependent upon the positive allosteric effort
1. Succinate
2. AMP
3. Isocitrate
4. Acetyl CoA

Correct answer: 4. Acetyl CoA

Explanation: CoA is acetylated to acetyl-CoA by the breakdown of carbohydrates through glycolysis and by the breakdown of fatty acids through b-oxidation. Acetyl-CoA then enters the citric acid cycle, where the acetyl group is oxidized to carbon dioxide and water, and the energy released is captured in the form of 11 ATP and one GTP per acetyl group